The ability of a screening test to detect "true positive" is known as -
1. Sensitivity
2. Specificity
3. Positive predictive value
4. Negative predictive value

Correct answer: 1. Sensitivity

Explanation: Sensitivity is the ability of a test to identify correctly all those who have the disease, that is 'true positive'Specificity is the ability of a test to identify correctly all those who do not have the disease, that is 'true negative'